All of the following are seen in psoriasis except –
1. Auspitz sign present
2. 10% associated with arthritis
3. It is premalignant disease
4. Worsening of disease during winter

Correct answer: 3. It is premalignant disease

Explanation: Psoriasis is not a premalignant condition.
Psoriatic lesions may worsen during winter.
Arthritis occurs in 5-10% of patients.
Auspitz sign is characteristic of Psoriasis